Paradoxical carrier is
1. who sheds organism even during Recovery
2. who sheds organism even during Incubation period
3. who gets infected from a case
4. who gets infected from another carrier

Correct answer: 4. who gets infected from another carrier

Explanation: Types of Carriers Paradoxical carrier- Carrier who gets infected from another carrier Contact carrier- Carrier who gets infected from case Chronic carrier- Carrier for >6 months Incubatory carrier- Carrier who sheds organism even during the Incubation phase Convalescent carrier- Carrier who sheds organism even during Recovery Pseudo-carrier- Carrier of Avirulent organism